Uretheritis is seen in:
1. Reiter's syndrome
2. Gout
3. Rheumatoid arthritis
4. PAN

Correct answer: 1. Reiter's syndrome

Explanation: Answer is A (Reiter's Syndrome): Syndrome is characterized by the triad of urethritis, conjunctivitis and arthritis.